Infections which are transmitted from man to vertebrate animals are called?
1. Anthropozoonosis
2. Zooanthroponosis
3. Amphixenosis
4. Enzootics

Correct answer: 2. Zooanthroponosis

Explanation: Anthropozoonosis are diseases transmitted from vertebrate animals to man. Eg. Plague, Rabies Amphixenosis are infections that are maintained in both man and vertebrate animals. Eg. T.Cruzi, S. Japonicum Enzootics are endemics occurring in animals. Epornithic is an epidemic of disease in bird population Ref: Park, 21st Edition, Pages 82-83